Tumour marker of Hepatocellular carcinoma -
1. AFP
2. CEA
3. HCG
4. CA-19

Correct answer: 1. AFP